All are true about Acute Coronary syndrome EXCEPT
1. Stable angina
2. Unstable angina
3. STEMI
4. N STEMI

Correct answer: 1. Stable angina

Explanation: (A) Stable angina # Stable angina is most common form of angina and typically with rest. It is not a medical emergency included in acute coronary syndrome. Last few minutes and might be triggered by mental/emotional stress.